What is the percent of total energy ratio supplied by fish protein (PE % Kcal) -
1. 20
2. 40
3. 60
4. 80

Correct answer: 4. 80

Explanation: Ref: Park 25th edition Pgno : 666